Which of the following is used for Rickettsia ?
1. Weil-Felix reaction
2. Rose-waler test
3. Poul-Bunnel test
4. VDRL

Correct answer: 1. Weil-Felix reaction

Explanation: Ans. is 'a' i.e., Weil-Felix reaction